Vitamin involved in 1 carbon metabolism:
1. Folic acid
2. Thiamine
3. Pyridoxine
4. All

Correct answer: 1. Folic acid

Explanation: Ans:A.)Folic Acid.ONE CARBON GENERATION AND UTILIZATION